Normal PCWP with pulmonary edema is seen in?
1. Left atrial myxoma
2. High altitude
3. Mitral stenosis
4. LV systolic dysfunction

Correct answer: 2. High altitude

Explanation: In Lv dysfunction and MS there will increase in pcwp with pulmonary edema . Normal pcwp withpulmonary edema is seen in Non cardiogenic pulmonary edema like ARDS,HIGH ALTITIDE ,Rapid evacuation of pneumothorax /hemothorax.